Sensory supply of from external auditory meatus
1. Pterygomandibular ganglion
2. Geniculate ganglion
3. Facial nerve nucleus
4. Auriculotemporal nerve

Correct answer: 4. Auriculotemporal nerve

Explanation: The skin lining the anterior half of the meatus is supplied by the auriculotemporal nerve, and that lining the posterior half, by the auricular branch of the vagus. Ref: BD Chaurasia's HUMAN ANATOMY, Volume 3, 6th edition 368